Iron and calcium are absorbed in:
1. Colon
2. Ileum
3. Duodenum
4. Jejunum

Correct answer: 3. Duodenum